Hunterian perforators are seen in ?
1. Upper thigh
2. Lower thigh
3. Calf
4. Mid thigh

Correct answer: 4. Mid thigh

Explanation: Ans. is 'd' i.e., Mid thigh